Condyloma acuminata is caused by:
1. HPV
2. HSV
3. HIV
4. Parvo virus

Correct answer: 1. HPV

Explanation: Ans. A. HPV. (Ref. Harrison's, Principle of Internal Medicine, 16th ed., p 979)Condyloma accuminata (syn. genital warts)# Are caused by human papilloma virus that is transmitted by sexual contact.# Early lesion are pink conical papules.# Pink, fleshy pedunculated cauliflower like lesion are seen in advanced cases.# In women, genital warts are most commonly found on the vulva but they may line the vagina and cervix.# Rx:Topical podophyllin (20%) is usually effective. If chemical methods fail, the warts can be excised or they can be ablated with cryosurgery, electrosurgery or laser.Condyloma lata# is a broad & flat syphilitic condyloma located in warm, moist, intertrigenous area, especially about the anus & external genital.# It may become hypertrophic & erode to form a soft red mass with a moist, weeping surface called also flat Condylomaseen mainly in secondary.